Popcorn calcification on chest X-ray is seen in:
1. Hamartoma
2. Granuloma
3. Metastasis
4. sarcoidosis

Correct answer: 1. Hamartoma

Explanation: Ref:Harsh Mohan - Textbook of Pathology, 6th Edition.page no.503 Hamartoma is a tumour-like lesion composed of an abnormal admixture of pulmonary tissue components and is discovered incidentally as a coin-lesion in the chest-X-ray. Central carcinoid of the lung. The tumour shows a characteristic nested of cells separated by fibrovascular septa. These nests are composed of uniform cuboidal cells having granular cytoplasm. Pulmonary hamartomas are of 2 types: chondromatous and leiomyomatous. Chondromatous hamartoma is more common and usually asymptomatic. It forms a solitary, spherical mass, 2-5 cm in diameter, usually at the periphery of the lung. Typically, it shows nodules of cartilage associated with fibrous and adipose tissue admixed with bronchial epithelium. Leiomyomatous hamartoma has a prominent smooth muscle component and bronchiolar structures. They are frequently multiple, 1-2 mm in diameter and are more commonly located near the pleura.